Extended spatulation of GIC:
1. Prolongs the setting time
2. Decreases the setting time
3. Does not alter the setting time
4. Any of the above

Correct answer: 2. Decreases the setting time